Length of lower esophageal sphincter-
1. 1-2 cm
2. 3-4 cm
3. 1-2 mm
4. 3-4 mm

Correct answer: 2. 3-4 cm

Explanation: Ans. is 'b' i.e., 3-4 cm "The cricopharyngeal sphincter is 2-3 cm, and the lower esophageal sphincter (LES) is 3-4 cm long" -- Textbook of GI Surgery* Approximately 2 cm of the esophagus lie below the diaphragm in the abdomen (abdominal part of esophagus).* Within this portion of esophagus the abdominal part of LES is located.* Another 1-2 cm of LES lie above the diaphragm in mediastinum, i.e. thoracic part of LES.* Thus total length of LES is 3-4 cm.